True about typhoid-a) It is caused by food poisoningb) Water can transmit the diseasec) Ty21a is an oral vaccined) Chronic carrier is called when transmitted upto 6 monthe) Widal test +ve in 1st week
1. a
2. c
3. ac
4. bc

Correct answer: 4. bc